Drainage of venous blood from testes following division of testicular vein for treatment of varicocele is by:
1. Cremasteric vein
2. Dorsal vein of penis
3. Internal pudendal vein
4. Pampiniform plexus

Correct answer: 1. Cremasteric vein

Explanation: Ans. A: Cremasteric veinVaricocelectomy, the surgical correction of a varicocele, is performed on an outpatient basis.The three most common approaches are inguinal (groin), retroperitoneal (abdominal), and infrainguinal/subinguinal (below the groin).Possible complications of this procedure include hematoma (bleeding into tissues), infection, or injury to the scrotal tissue or structures.In addition, injury to the artery that supplies the testicle may occur.An alternative to surgery is embolization, a non-invasive treatment for varicocele.Embolization is an effective treatment for post-surgical varicoceles.